All are true about lingual ledges except:
1. Part of tooth preparation for a resin bonded retainer
2. Increases the retention and resistance form
3. Decreases the casting rigidity
4. Aids in orientation of the casting during cementation

Correct answer: 3. Decreases the casting rigidity

Explanation: Lingual ledges are small horizontal grooves placed on the lingual aspect while preparing a tooth for resin bonded retainers. These increase the retention and resistance forms, increase casting rigidity and aid in orienting the casting while cementation of the prosthesis.